The clinical variety of scieritis associated with collagen diseases is:
1. Necrotizing nodular scleritis
2. Non-necrotizing nodular scleritis
3. Scleromalacia perforans
4. All of the above

Correct answer: 4. All of the above

Explanation: Ans. All of the above